Which fracture requires open reduction in children?
1. Fracture of both bones of forearm
2. Epiphyseal separation of tibia
3. Intercondylar fracture of femur
4. Lateral condyle fracture of humerus

Correct answer: 4. Lateral condyle fracture of humerus

Explanation: D i.e. Lateral Condyle fracture of humerus